Which of the following is a cause of decreased maternal serum a protein -
1. Neural tube defects
2. Fetal demise
3. Hepatitis
4. Aneuploidy

Correct answer: 4. Aneuploidy

Explanation: | Maternal serum a - Fetoprotein Decreased Maternal Serum a fetoprotein Twins Neural tube defects Intestinal atresia Hepatitis Nephrosis Fetal demise Incorrect gestational age Trisomies Aneuploidy